Major complication of cyst-gastrostomy for pseudo pancreatic cyst is?
1. Infection
2. Obstruction
3. Fistula
4. Hemorrhage

Correct answer: 4. Hemorrhage

Explanation: Ans. (d) HemorrhageRef : CSDTUthed/638* Serious post-op hemorrhage from cyst occurs from cystogastrostomy.* Most common cause of pseudopancreatic cyst is pancreatitis.* It may resolve spontaneously, so it is followed with serial ultrasonic studies.Indications of Surgical Intervention* Age of cyst more than 6 weeks without resolution* Size of cyst greater than 6 cm* Evidence of secondary infection* Development of any other complicationsSurgical Methods* Internal drainage - most preferred surgical management* There are three options:# Cysto-Jejunostomy# Cysto-gastrostomy# Cysto-Duodenostomy* Excision of pseudocyst* External drainage